When do you intubate a burns patient?
1. Deep facial burns with singed nasal hair
2. Superficial facial burns
3. Pulse rate >100/min
4. Crepitations on auscultation

Correct answer: 1. Deep facial burns with singed nasal hair

Explanation: Ans. (a) Deep facial burns with singed nasal hairRef: Bailey 26th edition, Page 388Indication of intubation in burns* Change in voice* Stridor* Deep burns around the mouth and in the neck